All of the following surgical procedures are used for allergic rhinitis except:
1. Radiofrequency ablation of the inferior turbinate
2. Laser ablation of the inferior turbinate
3. Submucosal placement of silastic in inferior turbinate
4. Inferior turbinectomy

Correct answer: 3. Submucosal placement of silastic in inferior turbinate

Explanation: Allergic rhinitis causes hypertrophy of turbinates and nasal obstruction. Procedures (a), (b) and (d) reduce the size of inferior turbinate, providing better patency. Submucosal placement of silastic in inferior turbinate will further impair the nasal patency.